Gas commonly used in laparoscopy is :
1. Air
2. Pure 02
3. N20
4. CO2

Correct answer: 4. CO2

Explanation: CO2